Hyponatremia is seen in all of the following except:
1. Congestive heart failure
2. Kidney problems
3. Diabetes insipidus
4. SIADH

Correct answer: 3. Diabetes insipidus

Explanation: Ans. C: Diabetes Insipidus Many possible conditions and lifestyle factors can lead to hyponatremia, including: Syndrome of inappropriate anti-diuretic hormone (SIADH) - In this condition, high levels of the anti-diuretic hormone (ADH) are produced, causing the body to retain water instead of excreting it in urine. Cirrhosis - Liver disease can cause fluids to accumulate in the body. Kidney problems - Kidney failure and other kidney diseases can render the body unable to efficiently remove excess fluids from the body. Congestive heart failure - This condition causes the abdomen and lower extremities to retain fluids. Diuretics, especially thiazide diuretics- Diuretics work by making the body excrete more sodium in urine. Consuming excessive water during exercise (exertional hyponatremia or exercise-associated hyponatremia (EAH)). Because sodium is lost through sweat, drinking too much water during endurance activities, such as marathons and triathlons, can dilute sodium content in blood. Hormonal changes due to adrenal gland insufficiency (Addison's disease). Adrenal glands produce hormones that help maintain the body's balance of sodium, potassium and water. Hormonal changes due to an under active thyroid (hypothyroidism). Primary polydipsia- In this condition, thirst increases significantly, causing a person to drink excessive amounts of fluid. Some medications, particularly selective serotonin reuptake inhibitors and some pain medications, cause a person to urinate or perspire more than normal. The recreational drug MDMA- This amphetamine causes a ripple effect on the body's ADH and water levels that-- especially in combination with heavy drinking--increases the risk of severe and even fatal cases of hyponatremia. Chronic, severe vomiting or diarrhea- This causes the body to lose fluids and electrolytes, including sodium. Dehydration- In dehydration, the body loses fluids and electrolytes. Diet- A low-sodium, high-water diet can disturb the proper balance between sodium and fluids in the blood